pH=7.28, PaCO2=70, Condition is consistent with:
1. Metabolic acidosis
2. Metabolic alkalosis
3. Respiratory acidosis
4. Respiratory alkalosis

Correct answer: 3. Respiratory acidosis

Explanation: Ans. C: Respiratory acidosis Normal Systemic arterial pH is between 7.35-7.45 and steady state PaCO2 is 40 mm Hg. Disorders and range of values for pH and PaCO2 Metabolic acidosis-Low pH and low PaCO2 Metabolic alkalosis-High pH and high PaCO2 Respiratory acidosis-Low pH and high PaCO2 Respiratory alkalosis-High pH and low PaCO2